Neovascular glaucoma is caused by:
1. CRVO
2. CRAO
3. Diabetes mellitus
4. All of the above

Correct answer: 4. All of the above

Explanation: Ans. D: All of the above Although NVG primarily effects the front part of the eye (anterior chamber), its cause usually is associated with a lack of oxygen to the retina in the posterior region (vitreous chamber). The technical term for this lack of oxygen is retinal hypoxia. Conditions leading to retinal hypoxia include diabetic retinopathy and central retinal vein occlusion (CRVO). These two diseases account for about two-thirds of all NVG cases. The predisposing condition for diabetic retinopathy obviously is diabetes. With respect to CRVO, predisposing conditions include elevated intraocular pressure and systemic hypertension (high blood pressure). The remaining one-third of NVG cases has less-common causes. Among these are: Central retinal artery occlusion (CRAO) Carotid artery obstructive disease Rhegmatogenous retinal detachment (a tear in the retina with fluid accumulating underneath that can further separate the pigment layer from other layers). Choroidal melanoma beneath a retinal detachment. Sickle-cell retinopathy Carotid-cavernous fistula A causative condition for NVG that is not associated with retinal hypoxia, is chronic anterior uveitis (irritation of the middle layer of the eye).